Best index of contraceptive efficacy is-
1. Pearl index
2. Chandelers index
3. Quetlet index
4. Broca index

Correct answer: 1. Pearl index

Explanation: Ans. is 'a' i.e., Pearl index o For contraceptive efficacy two method are used Pearl index Life table analysis (Better measure than Pearl index)